A patient is on treatment with penicillin. He developed pallor but there was no shortness of breath, urticaria or wheezing. On investigation, antibodies against penicillin were found in the blood. What is the type of hypersensitivity reaction that most likely occurred in this patient -
1. I
2. II
3. III
4. IV

Correct answer: 2. II

Explanation: . II